Calculate positive predictive value of ELISA test for HIV with sensitivity 99%, specificity 99%. Prevalence of HIV in population is 5/1000
1. 10
2. 70
3. 34
4. 99

Correct answer: 3. 34